A 25-year-old man presents with low grade fever, weight loss, fatigue, crampy abdominal pain, episodic diarrhea & postprandial bloating. Right lower quadrant tenderness is elicited on palpation of abdomen. A capsule endoscopy reveals thickening of terminal ileum, edema, marked luminal narrowing, and a cobblestone appearance of the mucosa. Which of the following is a characteristic of this condition?
1. Additional typical findings include crypt abscesses and pseudopolyps.
2. Inflammation and ulceration limited to mucosa and submucosa with sparing of deeper layers.
3. It can affect any portion of the gastrointestinal tract, but proximal jejunum is most common site of involvement.
4. It can cause fistula formation between loops of affected bowel.

Correct answer: 4. It can cause fistula formation between loops of affected bowel.

Explanation: - Given clinical features suggests the diagnosis of Crohn's disease Discussing options one by one: OPTION 1 : Crypt abscesses & pseudopolyps are seen in ulcerative colitis; not in crohn's disease OPTION 2 : False bacause transmural involvement of intestine is seen in crohn's disease OPTION 3 : Crohn's disease can involve any part of GIT; but most commonly involved site is ileum OPTION 4 : Stricture & fistula formation is seen in crohn's disease